A patient with blunt trauma of abdomen at 48 hours, USG shows normal, but patient had tenderness in left lumbar region. Best appropriate diagnosis is by:
1. MCU
2. IVP
3. CECT abdomen
4. Repeat USG

Correct answer: 3. CECT abdomen

Explanation: Suspect - injury of kidney in left abdomen. MCU is IOC for Vesicourethral Reflux IVP is IOC for Ureterocele